Coxa vara, not a true statement
1. Seen in perthe's disease
2. Seen in Rheumatoid Arthritis
3. Treated with Osteotomy
4. Fairbank's triangle is seen

Correct answer: 2. Seen in Rheumatoid Arthritis